Which of the following is a selective progesterone receptor modulator-
1. Onapristone
2. Ulipristal
3. Nomegestrol
4. Toremifene

Correct answer: 2. Ulipristal

Explanation: Ans. is 'b' i.e., Ulipristal o Ulipristal is a SPRM approved for use as an Emergency Contraceptive. o SPRM (selective progesterone receptor modulators) : Asoprisnil, ul ipristal, onapristone, mifepristone.